Source of progesterone during normal menstrual cycle
1. Corpus luteum
2. Stroma
3. Surface epithelium of ovary
4. Sertoli cells

Correct answer: 1. Corpus luteum

Explanation: Progesterone is a steroid sex hormone that is the principal progestational agent; it plays a major part in the menstrual cycle. During the maturation of the secondary oocyte (ovum), estrogen, the principal female sex hormone, is produced at a high rate. At ovulation estrogen production is sharply reduced, and the ovary then creates within itself a special endocrine structure called the corpus luteum whose sole function is to produce progesterone.Ref: Ganong's review of medical physiology; 24th edition; page no:-401